All of the following are related to difficult intubation, EXCEPT:
1. Miller's sign
2. TMJ ankylosis
3. Increased thyromental distance
4. Micrognathia

Correct answer: 3. Increased thyromental distance

Explanation: Tracheal intubation is best achieved in the classic "sniffing the morning air" position in which the neck is flexed and there is extension at the cranio-cervical (atlanto-axial) junction. This aligns the structures of the upper airway in the optimum position for laryngoscopy and permits the best view of the larynx when using a curved blade laryngoscope. Abnormalities of the bony structures and the soft tissues of the upper airway will result in difficult intubation. Signs of difficult intubation: Thyromental distance < 7cms Mallampatti grade III or IV Micrognathia Macroglossia High arched palate with narrow dental arch TMJ limitation Limited cervical vertebrae extension Miller sign Growth in oral cavity The modified Mallampati, thyromental distance, ability to protrude the mandible and craniocervical movement are probably the most reliable.